Recombinant form of a hormone used in osteoporosis is
1. Zolendronate
2. Ibandronate
3. Strontium ranelate
4. Teriparatide

Correct answer: 4. Teriparatide

Explanation: Recombinant form of PTH used in osteoporosis for both mineralization and preventing demineralization of bone.Ref: CMDT 2018/1173